Which of the following is a 'Small Vessel Vasculitis':
1. Polyarteritis Nodosa (PAN)
2. Microscopic polyangitis
3. Giant cell vasculitis
4. Takayasu's Disease

Correct answer: 2. Microscopic polyangitis

Explanation: Answer is B (Microscopic polyangitis): Miscroscopic Polyangitis (Microscopic Polyarteritis) is classified as 'Small Vessel Vasulitis' Polyarteritis Nodosa (PAN) is classified as 'Medium Vessel' vasculitis, while, Giant cell vasculitis(Temporal) and Takayasu disease are both classified as 'Large Vessel' vasculitides.